Common posterior cranial fossa tumours include all of following except –
1. Medulloblastoma
2. Oligodendroglioma
3. Ependymoma
4. Cystic astrocytoma

Correct answer: 2. Oligodendroglioma

Explanation: Oligodendrogliomas are uncommon tumours of childhood, occur predominently in the cerebral cortex and originate in white matter (Supratentorial).

Common childhood infratentorial post fossa tumors

Cerebellar astrocytoma (cystic astrocytoma)                        3) Brainstem glioma

2. MedullOblastoma (Primitive neuroectodennal tumor)                     4) Ependymoma